Following are the features of COPD,except:
1. Residual volume decreases
2. Irreversible airflow limitation
3. Ineffective repair of elastin
4. Includes small airway disease

Correct answer: 1. Residual volume decreases

Explanation: -Residual volume increases in COPD Chronic obstructive pulmonary disease (COPD) It is a disease characterised by persistent airflow limitation that is usually progressive, and associated with an enhanced inflammatory response. Airflow limitation is almost irreversible Pathogenesis Cigarette smoking is the main trigger It causes recruitment of many inflammatory and immune cells in the lungs Proteases secreted from these cells will breakdown the extracellular matrix Oxidant causes further chronic inflammation and damage to the structure of cell Pulmonary emphysema occurs because of the ineffective repair of matrix and elastin.